Most common cause of acute RVF -
1. Massive pulmonary embolism
2. Tricuspid stenosis
3. Pulmonary stenosis
4. Tricuspid regurgitation

Correct answer: 1. Massive pulmonary embolism

Explanation: Ans. is 'a' i.e., Massive pulmonary embolism Acute right ventricular failure is usually caused by acute cor pulmonales.Most common cause of acute cor pulmonale is pulmonary embolism.M.C. cause of chronic cor pulmonale is pulmonary embolismCauses of acute right heart failurePulmonary embolism (M.C.)Acute respiratory failure (especially in Broncho pulmonary disease with hypoxic / hypercapnic pulmonary vasoconstrictions.ARDSSepsisAcutely exacerbated chronic (left / biventricular) heart failureAcute inferior myocardial infarction involving the R.V.